Most common site of avascular necrosis amongst the following is -
1. Medial candyle of femur #
2. Talus #
3. Olecranon #
4. Head of the radius #

Correct answer: 2. Talus #

Explanation: Amongst the given options only talus fracture (neck talus fracture) causes AVN.